A study was conducted to test if use of herbal tea played any role in prevention of common cold. Data was collected on the number of people who developed cold and those who did not develop cold and this data was tabulated in relation to whether they consumed Herbal tea or not.\r\n\r\n\r\n\r\n Herbal tea \r\nConsumed\r\nNot consumed\r\n\r\n\r\n Had cold \r\n12\r\n 23\r\n\r\n\r\n Did not have a cold \r\n 34\r\n38\r\n\r\n\r\n\r\n In order to study this above given test, which of the following analytical test can be used?
1. 'Z' test
2. Chi square test
3. Student -1 test (paired)
4. Student -1 test (unpaired)

Correct answer: 2. Chi square test

Explanation: According to the question, the data that has to assessed is the nominal data which has been arranged in qualified categories and thus by using a non-parametric test, the Chi square test is used for the analytical study of the test. The student t-test (unpaired and paired t test) and the 'z' test are parametric tests that are used to test hypothesis for quantitative data (not qualitative data) Ref: Park's Texbook of Preventive and Social Medicine 19th edition; pages 705; High Yield Biostatistics by Anthony N. Glaser 2nd Edition, Pages 46 - 47; Methods in Biostatistics By Mahajan6th Edition, Pages 168 - 185